Which of the following is an example of Labile tissue?
1. Transitional epithelium of the urinary tract
2. Parenchyma of most solid organs
3. Neurons
4. Skeletal muscles

Correct answer: 1. Transitional epithelium of the urinary tract

Explanation: The ability of tissues to repair themselves is determined, in part, by their intrinsic proliferative capacity. In some tissues called labile tissues, cells are constantly being lost and must be continually replaced by new cells that are derived from tissue stem cells and rapidly proliferating immature progenitors. These types of tissues include hematopoietic cells in the bone marrow and many surface epithelia, such as the basal layers of the squamous epithelia of the skin, oral cavity, vagina, and cervix; the cuboidal epithelia of the ducts draining exocrine organs (e.g., salivary glands, pancreas,  biliary tract); the columnar epithelium of the gastrointestinal tract, uterus, and fallopian tubes; and the transitional epithelium of the urinary tract. These tissues can readily regenerate after injury as long as the pool of stem cells is preserved.
Robin’s Textbook of pathology 10th ed  Page 88